The mesial surface of the crown is almost parallel to long axis and the root of a:
1. Maxillary 1st premolar
2. Mandibular 2nd Premolar
3. Maxillary canine
4. Mandibular canine

Correct answer: 4. Mandibular canine